A 12 year old girl presents with a yellowish "birthmark" on the scalp. Her mother reports that the lesion has progressively become thicker and warty. She is asymptomatic but they are concern regarding the cosmetic appearance. Which is the most likely diagnosis?
1. Sebaceous hyperplasia
2. Congenital warts
3. Nevus sebaceous
4. Aplasia cutis

Correct answer: 3. Nevus sebaceous

Explanation: Nevus sebaceous appears usually on the scalp. Made of extra sebaceous glands in the skin. It starts as a flat pink or orange plaque (slightly raised area). Hair does not grow in a nevus sebaceous. During adolescence, they can become very bumpy and wart- like. A nevus sebaceous does not go away on its own. T/t: Surgery Sebaceous hyperplasia: Enlarged sebaceous glands seen on the forehead or cheeks of the middle-aged and elderly. Aplasia cutis: Congenital absence of skin, with or without the absence of underlying structures such as bone. It most commonly affects the scalp.